All of the following are true about trauma management except:
1. Primary survey aimed at detecting & simultaneously treating immediately life threatening injuries
2. AMPLE history should be taken in secondary survey
3. Tertiary survey is comprehensive patient evaluation after initial resuscitation period
4. Tertiary survey is usually performed about 48 hours after admission

Correct answer: 4. Tertiary survey is usually performed about 48 hours after admission

Explanation: According to ACLS we follow Primary and Secondary survey. Secondary survey done for Non-Life-threatening disease. Tertiary survey is usually performed about 24 hours (NOT 48hours) after admission Primary survey Secondary survey Tertiary survey - Aimed at detecting & simultaneously treating immediately life-threatening injuries. - Identified by the mnemonic 'ABCDE' - A: Airway maintenance with cervical spine protection - B: Breathing (Ventilation & Oxygenation) - C: Circulation with hemorrhage control - D: Disability (Brief neurological examination) - E: Exposure / Environment control - Consists of head to toe systematic assessment of abdominal, pelvic & thoracic areas - Complete inspection of body surface to find all injuries & neurological examination - Patients & surrogates should be queried to obtain an AMPLE history - A: Allergies - M: Medication - P: Past illness or pregnancy - L: Last meal - E: Events related to injury - Comprehensive patients' evaluation after initial resuscitation period - Usually performed about 24 hours after admission - Include a thorough physical examination combined with targeted radiographic imaging (X-ray usage of CT) Based on examination findings. - Decrease the delay in diagnosis of potentially life-threatening injuries